Major Disadvantage of peripheral line is
1. Catheter related sepsis
2. Damage to adjacent artery
3. Refeeding syndrome
4. Thrombophlebitis

Correct answer: 4. Thrombophlebitis

Explanation: Ref: Bailey and love 27th edition Pg no :287